Retinitis pigmentosa is characterized by ?
1. Central scotoma
2. Centrocaecal scotoma
3. Tubular vision
4. Isopteric contraction

Correct answer: 3. Tubular vision

Explanation: Ans. is 'c' i.e., Tubular vision Important facts Earliest visual field defect in primary open angle glaucoma- Isopeteric contraction. Earliest clinically significant visual .field defect in primary open angle glaucoma --> Paracentral scotoma, Visual field deject in rheugmatogenous retinal detachment- Loss of peripheral field. Visual field defect in retinitis pigmentosa- Tubular vision. Most common visual ,field defect in optic neuritis - Central or centrocaecal. Visual field defect in papilloedema- Enlargement of blind spot and progressive contraction of visual _field. Visual field defect in Leber's optic neuropathy- Centmcaecal. Characteristic visual .field defect in anterior ischemic optic neuropathy- Altitudinal visual field defects.